Erb's palsy involves
1. C5 C6
2. C8 T1
3. T1 T2
4. C6 C7

Correct answer: 1. C5 C6

Explanation: ERB'S PARALYSIS:- upper plexus injury.Caused by the forceful widening of the angle between the head and shoulder which may occur by traction of the arm during the birth of a child or by fall on the shoulder.Involves upper trunk - C5, C6 roots. Leads to typical deformity in the limb- policeman's tip hand/ porter's tip hand. The arm hangs by the side, adducted and medially rotated. DISABILITY: The following movements are lost. Abduction and lateral rotation of the arm at shoulder joint flexion and supination of the forearm. biceps and supinator jerks are lost. sensations are lost over a small area over the lower part of the deltoid. REF: BD Chaurasia 7th edition page no: 59.